Fracture neck of femur in children is treated by
1. Spica in internal rotation and adduction
2. Spica in abduction and internal rotation
3. Spica in abduction and external rotation
4. Spica in Hexion and adduction

Correct answer: 2. Spica in abduction and internal rotation